Sub-diaphragmatic right posterior intraperitoneal space is
1. Lesser sac
2. Morison's pouch
3. Pouch of Douglas
4. Superior part of supracolic compartment

Correct answer: 2. Morison's pouch

Explanation: Right posterior intraperitoneal space (RPIS) or right sub-hepatic space is hepato-renal pouch of Morison. it is most dependent loacation in supine postion